MITSUDA REACTION is read after-
1. 3 days
2. 3 hours
3. 3 weeks
4. 3 months.

Correct answer: 3. 3 weeks